The cells of cochlea are called as
1. Epitheliocytipilon
2. Outer & inner hair cells
3. Transitional apical hair cells
4. None of these

Correct answer: 2. Outer & inner hair cells

Explanation: (B) Outer & Inner hair cells > The cochlear portion of the labyrinth is a coiled tube which in humans is 35 mm long and makes a two and three quarter turns.> Throughout its length, the basilar membrane and Reissner's membrane divide it into three chambers or scalae Located on the basilar membrane is the organ of Corti, the structure that contains the hair cells, which are the auditory receptors.> The hair cells are arranged in four rows: three rows of outer hair cells lateral to the tunnel formed by the rods of Corti, and one row of inner hair cells medial to the tunnel. There are 20,000 outer hair cells and 3500 inner hair cells in each human cochlea.